Over half of the potassium that appears in the urine of a patient, who has ingested some potassium salts, is derived From?
1. Glomerular filtrate
2. Secretion by the distal tubule
3. Reabsorption in the proximal tubule
4. Secretion by the loop of Henle

Correct answer: 2. Secretion by the distal tubule

Explanation: Secretion by the distal tubule.With a normal potassium intake filtered K+ (which is not reabsorbed) accounts for two third and secreted K+ counts for one-third of the excreted urinary K+.However, on high potassium diet, the K+ secretion increases and K+ secretion account for about 60-65% excreted K+.K+ secretion occurs in distal tubules and collecting duct.